All of the following favour postoperative wound dehiscence except-
1. Malignancy
2. Vitamin B complex deficiency
3. Hypoproteinaemia
4. Jaundice

Correct answer: 2. Vitamin B complex deficiency

Explanation: Ans. is 'b' i.e., Vitamin B complex deficiency